The substance used of OCG is:
1. lapanoic acid
2. Sodium diatrozite
3. Melglumine iodothalamate
4. Biligraffin

Correct answer: 1. lapanoic acid

Explanation: Ans. lapanoic acid